Rib notching is a feature of:
1. ASD
2. PDA
3. Coarctaation of aorta
4. All of the above

Correct answer: 3. Coarctaation of aorta

Explanation: Ans. C: Coarctaation of Aorta Radiological sign of coarctation of aorta: Rib Notching Single best sign Older the person, more likely to have rib notching Majority have it over 20 years of age Rib notching occurs in the high pressure circuit Most often involves 4th-8th rib Sometimes may involve 3rd and 9th Does not involve 1st and 2nd ribs Intercostals come off costocervical trunk and do not supply collateral flow to descending aorta 4th-8th do anastomose with internal mammary to form collaterals for descending aorta Rib Notching-Unilateral